Which of the following is least in protein quality ?
1. Gelatin
2. Lactalbumin
3. Albumin
4. Cashewnut protein

Correct answer: 1. Gelatin